An Infant presents with hepatomegaly, hypoglycemia, hyperlipidemia and acidosis. Most probable underlying diagnosis is:
1. Von Gierke's
2. Con's disease
3. Pompe's disease
4. All of the above

Correct answer: 1. Von Gierke's

Explanation: a. Von Gierke's(Ref: Nelson's 20/e p 715-725, Ghai 8/e p 655-657)Presence of hepatomegaly, hypoglycemia, hyperlipidemia & acidosis, point towards Von Gierke disease.